Mastoid process is which type of epiphysis:
1. Pressure
2. Aberrant
3. Atavistic
4. Traction

Correct answer: 4. Traction

Explanation: Traction epiphysis are present at the ends of bones and develop due to traction by the attached muscles (and are therefore extracapsular).
Mastoid process is produced due to the traction by the sternocleidomastoid muscle.